When heparin is given in pregnancy, which of the following is to be added?
1. Iron folic acid
2. Copper
3. Calcium
4. Zinc

Correct answer: 3. Calcium

Explanation: Ans. is c, i.e. CalciumRef. KDT 6/e, p 598, 599; Harrison 17/e, p 2400Heparin can lead to osteoporosis, or hypocalcemia so, calcium supplementation is advisable with the use of heparin.Also Know:Durgs which may lead to hypocalcemia and hence calcium supplementation is necessary:CorticosteroidsCyclosporineAnticonvulsantsCytotoxic drugsExcessive alcoholAromatase inhibitorIncrease dose of thyroxineAluminiumGnRHHeparinLithium